Which of these drugs can be given safely to a patient with renal disease?
1. Phenacetin
2. Tetracycline
3. Aminoglycoside
4. Diazepam

Correct answer: 4. Diazepam